The difference between Gram + ve and Gram -ve organism is that Gram+ve org. contains -
1. Teichoic acid
2. Muramic acid
3. N-acetyl neuraminin acid
4. Aromatic amino acids

Correct answer: 1. Teichoic acid

Explanation: Gram-Positive Gram-Negative Thickness Thicker Thinner Variety of AA Few several Aromatic acid and sulfur-containing amino acids absent present LPS absent or scant present Teichoic acid present absent Ref :Ananthanarayan & paniker's Textbook of Microbiology 9th edition pg no 16 Table 2.2 Comparison of cell walls of Gram-Positive & Gram-Negative